Enterovirus species that causes conjunctivitis:
1. Enterovirus 68
2. Enterovirus 69
3. Enterovirus 70
4. Enterovirus 71

Correct answer: 3. Enterovirus 70

Explanation: Ref. Textbook of Microbiology and Immunology BY Parija. Page. 780
Acute haemorrhagic conjunctivitis is caused by Enterovirus 70 and Coxsackie A-24.